Which of the following is not associated with malignancy?
1. Fragile X syndrome
2. Fanconi's syndrome
3. Down's syndrome
4. Bloom syndrome

Correct answer: 1. Fragile X syndrome

Explanation: Ans:A.)Fragile X Syndrome. Fragile X syndrome It is inherited in an X-linked dominant pattern. Symptoms often include mild to moderate intellectual disability. Physical features may include a long and narrow face, large ears, flexible fingers, and large testicles. About a third of people have features of autism such as problems with social interactions and delayed speech. Hyperactivity is common and seizures occur in about 10%. Males are usually more affected than females. Fragile X syndrome is typically due to an expansion of the CGG triplet repeat within the Fragile X mental retardation 1 (FMR1) gene on the X chromosome